A patient with recent–onset primary generalized epilepsy develops drug reaction and skin rash due to phenytoin sodium. The most appropriate course of action is :
1. Shift to clonazepam
2. Restart phenytoin sodium after 2 weeks
3. Shift to sodium valproate
4. Shift to ethosuximide

Correct answer: 3. Shift to sodium valproate